True about Cryptococcus neoformans are all except:
1. Possess a prominent polysaccharide capsule
2. Abundant in pigeon droppings
3. Dimorphic fungi
4. Causes meningitis in the immunocompromised

Correct answer: 3. Dimorphic fungi

Explanation: Ans. C: Dimorphic fungi Cryptococcus is yeast/unicellular fungi. C neoformans is distributed worldwide. C neoformans, which is recovered from aged pigeon feces, bird nests, and guano, is invariably serotype A or D. Although serotypes A and D exist in high concentrations in the pigeon feces, the fungus does not infect the birds. In moist or desiccated pigeon excreta, C neoformans may remain viable for 2 years or longer. In saprobic environments, C neoformans grows unencapsulated; however, unencapsulated strains regain their virulence following reacquisition of their polysaccharide capsule. Cryptococcal meningitis is the most serious type of infection and can resemble tuberculous or other chronic type of meningitis. It is often seen in AIDS.